Digitalis has positive inotropic effect by the virtue of its effect on:
1. Na+ K+ATPase pump
2. Na Glucose channels
3. H+K+ ATPase pump
4. Calcium Pump

Correct answer: 1. Na+ K+ATPase pump